All - Trans - Retinoic Acid is used in the treatment for:
1. Acute Promyelocytic Leukemia (PML)
2. Acute Lymphoid Leukemia (ALL)
3. Chronic Myeloid Leukemia (CML)
4. Chronic Lymphoid Leukemia (CLL)

Correct answer: 1. Acute Promyelocytic Leukemia (PML)

Explanation: All -Trans- Retinoic Acid is used in the treatment for Acute Promyelocytic Leukemia (PML) Ref: Harrison's Principles of Internal Medicine, 16th Edition, Page 636; Manual of Practical Medicine By R Alagappan, 3rd Edition, Page 347